Following cranial nerve is most commonly involved in patients with sarcoidosis
1. II cranial nerve
2. III cranial nerve
3. VII cranial nerve
4. IX cranial nerve

Correct answer: 3. VII cranial nerve

Explanation: Neurological findings are observed in 5% of patients with sarcoidosisSeventh nerve involvement with unilateral facial palsy is most common. It occurs suddenly and is usually transientOther common features of neurosarcoidosis:Optic nerve dysfunctionPapilledemaPalate dysfunctionHearing abnormalitiesChronic meningitisHypothalamic and pituitary abnormalitiesHeerfordt's syndrome:FeverB/L parotid enlargementAnterior uveitisVIIth nerve palsy(ref:Harrison's 18/e p2809, 17/e p2139)